Egg contains all vitamins except
1. B1
2. B6
3. C
4. E

Correct answer: 3. C

Explanation: Egg Egg contains all the nutrients except carbohydrate and vitamin C. About 12 per cent of egg is made of shell, 58 per cent of egg white, and 30 per cent of egg yolk. An egg weighing 60 grams contains 6 g of protein, 6 g of fat, 30 mg of calcium and 1.5 mg of iron, and supplies about 70 kcal of energy. Egg proteins have all the nine essential amino acids needed by the body in right proportions. Nutritionists consider egg protein as the best among food proteins. In fact, egg protein is the standard against which the quality of other proteins is compared. Except for vitamin C, egg contains all the fat-soluble and water-soluble vitamins in appreciable amounts. Important minerals such as calcium, phosphorus, iron, zinc and other trace elements are present in the egg. Barring milk, no other food can supply such a diverse range of nutrients. Net protein utilization (NPU) which combines in a single value the biological value and digestibility, is 100 for egg compared to 80 for meat and 75 for milk. Raw egg white is not assimilated by the intestinal mucosa, therefore it must be cooked before consumption. Boiling destroys 'avidin', a substance which prevents the body from obtaining biotin, one of the B-complex vitamins. Boiled egg is therefore nutritionally superior to raw egg. In recent years the cholesterol content of egg (250 mg/egg) has generated a sense of fear because of the risk of CHD . A reduction in intake of eggs is advised for those at risk of CHD. This should not distract others from eating eggs. Eggs or no eggs, cholesterol is formed in the body endogenously and is controlled by what is known as feedback mechanism. Ref: Park 25th edition Pgno : 668